Which of the following groups of protein assist in the folding of other proteins?
1. Proteases
2. Proteosomes
3. Templates
4. Chaperones

Correct answer: 4. Chaperones

Explanation: Chaperones are present when the macromolecules perform their normal biological functions and have correctly completed the processes of folding and/or assembly.The chaperones are concerned primarily with protein folding.The first protein to be called a chaperone assists the assembly of nucleosomes from folded histones and DNA and such assembly chaperones, especially in the nucleus, are concerned with the assembly of folded subunits into oligomeric structures.